Apex of maxillary sinus points towards
1. Zygomatic bone
2. Nasal Cavity
3. Orbital surface
4. None of the above

Correct answer: 1. Zygomatic bone